Drug used in acute congestive glaucoma are all except:
1. Atropine
2. Pilocarpine
3. Acetozolamide
4. Mannitol

Correct answer: 1. Atropine

Explanation: Ans: A (Atropine) "Mydriatic drugs like atropineQ, cyclopentolate, tropicamide & phenylephrine'' are precipitating factors for angle closure glaucoma ,so not used in treatmentKhurana4th/225Drugs Used in Treatment of Acute Congestive GlaucomaHyperosmotic Agents & Hypotensive LipidsMannitol :Shou!d be given initially to lower IOPGlycerol: It is less suitable for diabetes# Beta Blocker - Decrease rate of production of aqueous humourTimololQLevobunololQBetaxololQCarteololQa agonist - Decrease production & increase aqueous outflowClonidineQBrimonidineQApraclonidineNon-Selective a & p agonistsEpinephrineDipivefrineQCarbonic Anhydrase Inhibitors - decrease production of aqueous humourAcetozolamideQDorzolamideyMethazolamideBrinzolamideQProstaglandin Analogues - Increase uveoscleral outflowLatanoprostQBimatoprostUnoprostoneQTravoprost# Parasympathomimetics - Increase trabecular outflowPilocarpineQCorticosteriod - reduce inflammationDexamethasoneQBetamethasone